The following combination of drugs is best suited for daycare surgery
1. Atracurium, morphine, isoflurane
2. Mivacurium, fentanyl, sevoflurane
3. Atracurium, remifentanil, halothane
4. Mivacurium, pethidine, desflurane

Correct answer: 2. Mivacurium, fentanyl, sevoflurane